Not a complication of Acute osteomyelitis
1. Chronic osteomyelitis
2. Septicemia
3. Recurrence
4. Osteoclastoma

Correct answer: 4. Osteoclastoma